Malignancies associated with BRCA 1 and 2 includes all except
1. Breast cancer
2. Prostate cancer
3. Papillary serous carcinoma of peritoneum
4. Mesothelioma

Correct answer: 4. Mesothelioma